Most common site for osteoma is -
1. Maxillary sinus
2. Ethmoid sinus
3. Frontal sinus
4. Sphenoid sinus

Correct answer: 3. Frontal sinus

Explanation: Craniofacial osteomas are benign tumors often originating in the paranasal sinuses
The frontal sinus is the most frequent location followed by the ethmoid, maxillary and sphenoid sinus, respectively
Age of presentation = second to fifth decade with a male–femate ratio – 3:1.
Presentation:

––Generally they are an incidental finding on radiography
––It may produce symptoms like –
––Visual impairment
–– Intracranial neurological complications like meningitis or pneumocephalus with seizure.
Management
Removal by endoscopic sinus surgery.